Route of transmission of toxoplasma -a) Bloodb)  Fecesc) Urined) None
1. ac
2. ab
3. ad
4. bc

Correct answer: 2. ab